Functional cusp bevel has to be placed in following cusps EXCEPT:
1. Mesiopalatal cusp
2. Distolingual cusp of the mandibular molar.
3. Distopalatal cusp
4. Distobuccal cusp of mandibular molar .

Correct answer: 2. Distolingual cusp of the mandibular molar.